The most rapidly acting non-depolarizing neuromuscular blocking agent which can be used as an alternative to succinylcholine for tracheal intubation is :
1. Rocuronium
2. Pancuronium
3. Doxacurium
4. Pipecuronium

Correct answer: 1. Rocuronium